Which of the following is a special stain used to diagnose fungal hyphae in tissues?
1. Methenamine silver
2. Masson Trichrome
3. Congo red
4. Alcian blue

Correct answer: 1. Methenamine silver

Explanation: Ans. a. Methenamine silver (Ref: Ananthnarayan 8/e p601; Rook's Textbook of Dermatology 8/e p10.8)Methenamine silver stains fungal tissue black. It stains only living fungi. Stains used to identify fungiPeriodic acid Schiff (PAS)Methenamine Silver Stain (Grocott's and Gomori's stain)* Stains fungal tissue Red* Stains both living and dead fungi* Stains fungal tissue Black* Stains only living fungiOil red 'O' stain is used for frozen specimen. For Connective Tissue and LipidsName of stainElements stainedTrichrome StainCollagenQVerhoeff-Van Gieson stain (Best for Elastin)Elastic fibersLuna stainElastin & Mast cellsSilver Methenamine stainreticulinOil red 'O' stain (on Fresh specimen)Sudan black (on fixed specimen)FatQMallory's PTAH stainMuscle striationsMartius scarlet blue (MSB)FibrinQPAS, Silver Methenamine stainBasement membraneBielschowsky (silver stain)Neurofibrillary tangles senile plaquesLuxol fast bluemyelin For MicroorganismsName of stainElements stainedZiehl-Nielsen stain. Kinyoun stainAcid-fast bacilliMay-Grunwald Giemsa StainBacteria, blood elementsToluidine method, Steiner methodH. pylori (stained black)QGrocott's Methenamine silver method. PASFungiQMarchiveltos stainRickettsia & viral inclusionsShikatas orcein stainHepatitis B antigenMucicarmineCryptococcusQWarthin-Starry methodspirochetesGomori Methenamine silverFungus (stained black)QCalcofluor whiteAcanthamoeba (stained white)Q For CarbohydratesName of stainElements stainedPASGlycogen/neutral mucin or mucoproteinAlcian blue(at pH 2.5: Positive for acid mucopolysaccharides)Differentiates Acid & neutral mucopolysaccharidesAlcian blue at pH 1Highly acidic mucins (sulphated mucins)QMucicarmine stain (specific)Acidic epithelial MucinQ For Minerals, pigments and miscellaneousName of stainElements stainedVon Kossa's stain (MC used)Alizarin red S at pH 4.2 (specific for Calcium)calciumPrussian blueIronQFontana Masson Silver stainMelaninQModified Fouchet'sBile pigmentsOrcein Modified rhodamine (method of choice)copper For Hematological cellsName of stainElements stainedRomanowsky stain(Giemsa. Leishman, Wright, Genner)Routine Wood & bone marrowMyeloperoxidaseMyeloid cellsSudan Black BMyeloid cellsNon-specific EsteraseMonocytic cellsAcid PhosphataseT-lymphocytesPASLymphoblasts (block positive)Erythroid (granular positive)Tartrate-Resistant Acid Phosphatase (TRAP)Hairy cell leukemiaToluidine blueMast cells & basophils For amyloidName of stainElements stainedCongo Red stainAmyloid (Gold standard is congo red staining with appleMetachromatic stains like crystal violetgreen birefringence under polarized light)Q